Which of the following is not included under Garrod's tetrad
1. Albinism
2. Pentosuria
3. Phenylketonuria
4. Cystinuria

Correct answer: 3. Phenylketonuria

Explanation: Garrod's tetrad includes Albinism, Pentosuria, Alkaptonuria, Cystinuria.